Significant titres of IHA is seen in all types of amoebiasis except-
1. Acute amoebic dysentery
2. Brain abscess
3. Liver abscess
4. Cyst passers

Correct answer: 4. Cyst passers

Explanation: Infection with E. histolytica does not necessarily lead to disease. Infact, in most cases it remains within the lumen of the large intestine, feeding on the colonic contents and mucus as a commensal without causing any ill effects. Such persons become carriers or asymptomatic cyst passers, as their stool contains cysts. They are responsible for the maintenance and spread of infection in the community. The infection may get spontaneously eliminated in many of them. Sometimes, the infection may be activated and clinical disease ensues. Such latency and reactivation are characteristic of amoebiasis. TEXTBOOK OF MEDICAL PARASITOLOGY,CKJ PANIKER,6TH EDITION,PAGE NO 17